Total lung capacity is ?
1. 2.4 L
2. 3.6 L
3. 6 L
4. 10 L

Correct answer: 3. 6 L

Explanation: Ans. is 'c' i.e., 6 L